Which of the following is true about leucite ceramics:
1. Bonds with water based restorations.
2. Nontranslucent.
3. Stronger than alumina based ceramic.
4. Etching is possible.

Correct answer: 4. Etching is possible.

Explanation: Leucite - Based Ceramics-

Translucent
Can be etched (By HF)
Bond with resin cement not by water - based cements
Comparatively less strong than alumina- or zirconia reinforced ceramics